Highest point on skull
1. Pterion
2. Porion
3. Lambda
4. Vertex

Correct answer: 4. Vertex